Color of granules produced by actinomycetes is:
1. Black
2. Yellow
3. Blue
4. White

Correct answer: 2. Yellow

Explanation: Yellow REF: Jawetz's Medical Microbiology, 24th Edition, Section III. Bacteriology > Chapter 13"Most strains of A. Israeli and the other agents of actinomycosis are facultative anaerobes that grow best in an atmosphere with increased carbon dioxide. On enriched medium, such as brain-heart infusion agar, young colonies (24-48 hours) produce gram-positive substrate filaments that fragment into short chains, diphtheroids, and coccobacilli. After a week, these "spider" colonies develop into white, heaped-up "molar tooth" colonies. In thioglycolate broth, A. Israeli grows below the surface in compact colonies. Species are identified based on cell wall chemotype and biochemical reactions.Actinomyces abscess classically discharges pus containing visible granules (clumps of organism) called "sulfur granules", which are gritty and yellow. (Although sulfur is not found in the granule)